All are components of bile, except
1. Bile salts
2. Bile pigment
3. Stercobilinogen
4. Bilirubin

Correct answer: 3. Stercobilinogen

Explanation: Stercobilinogen is a chemical created by bacteria in the gut. It is made of broken-down hemoglobin. It is further processed to become the chemical that gives feces its brown color while all other things are components of bile Ref: guyton and hall textbook of medical physiology 12 edition page number:420,421,422